Labourer's nerve is -
1. Radial nerve
2. Ulnar nerve
3. Axillary nerve
4. Median nerve

Correct answer: 4. Median nerve

Explanation: Ans. is 'd' i.e., Median nerve o The median nerve controls coarse movements of the hand, as it supplies most of the long muscles of the front of the forearm. It is therefore called the "labourer's nerve".o The ulnar nerve is known as the musician's nerve as it supplies most of the small muscles of the hand.